Allosteric inhibition of an enzyme is ?
1. Binding of inhibitor to catalytic site and inhibition of enzyme
2. Binding of inhibitor to other site and inhibition of enzyme
3. Inhibition of enzyme by inhibitors without binding to enzyme
4. Inactivation by phosphorylation or dephosphorylation

Correct answer: 2. Binding of inhibitor to other site and inhibition of enzyme

Explanation: Ans. is 'b' i.e., Binding of inhibitor to other site and inhibition of enzyme Some enzymes, called allosteric enzymes, posses a site, in addition to substrate binding (catalytic) site, known as the allosteric site. Binding of allosteric modulator at the allosteric site affects the conformation of catalytic site. Such enzymes are called allosteric enzymes. The allosteric modulator (regulator) may facilitate the conformational change of catalytic site, required for substrate binding. Such regulators are called allosteric activators (positive allosteric modifier); for example, fructose-2, 6-bisphosphate is an allosteric activator of Phosphofructokinase-I. Some allosteric regulators prevent the conformational change required for binding of the substrate. Such regulators are called allosteric inhibitors (negative allosteric modifier); for example, citrate is an allosteric inhibitor of phosphoructokinase-I.